Cohort study estimates all except-
1. Incidence
2. Relative risk
3. Odds ratio
4. Attributable risk

Correct answer: 3. Odds ratio

Explanation: Ans. is 'c' i.e., Odds ratio Epidemiological studyParameter obtained* Case control studyOdds ratio* Cohort studyIncidence rateRelative riskAttributable riskPopulation attributable risk* Cross - sectional studyPrevalence* Ecological studyGroup characteristics